According to Boyd classification of intermittent Claudication; Rest pain is seen in
1. Grade 1
2. Grade 2
3. Grade 3
4. Grade 4

Correct answer: 4. Grade 4